The first physiological response to high environmental temperature is
1. Sweating
2. Vasodilatation
3. Decreased heat production
4. Non-shivering thermogenesis

Correct answer: 2. Vasodilatation

Explanation: Under mechanisms activated by heat cutaneous vasodilation comes first followed by sweating increased respiration, decreased heat production, anorexia, apathy, and inertia. Ref: Ganong's review of medical physiology; 23rd edition; pg: 285; Table 18-4.